Angle of tracheal bifurcation is increased in which chamber of heart enlargement.
1. Left atrium
2. Right atrium
3. Left ventricle
4. Right ventricle

Correct answer: 1. Left atrium

Explanation: Normal tracheal angle: 40- 80deg The angle of tracheal bifurcation may be widened in the following conditions due to the mechanical splaying of the bronchi: Subcarinal masses Lobar collapse Left atrial enlargement Generalized cardiomegaly Pericardial effusion